Norplant contains how many capsules of levonorgestrel:
1. 4
2. 6
3. 8
4. 10

Correct answer: 2. 6

Explanation: Norplant contains a set of 6 capsules each containing 36mg levonorgestrel for subcutaneous implantation-placed subcutaneously in the medial aspect of upper arm (Ref.Essentials of medical pharmacology TD Tripathi 6th edition page no.323)